Digitoxin is used in A/E -
1. Heart failure
2. HOCM
3. Supraventricular tachycardia
4. All

Correct answer: 2. HOCM

Explanation: Ans. is 'B' i.e., HOCM Congestive heart failureCardiac arrhythmiaso Atrial fibrillation